Traction force required for forceps delivery In primigravida is:
1. 15 kg
2. 18 to 20 kg
3. 13 kg
4. 25 kg

Correct answer: 2. 18 to 20 kg

Explanation: Functions of forceps Traction force:in primigravidae the traction force required is about 20kg and that in multipara about 13 kg rotation of head:can be acheived by Kielland's forceps act as a protective cage for head from the pressure of birth canal as in a premature baby, controlled delivery of the after coming head in breech D.C.DUTTA'S TEXTBOOK OF OBSTETRICS,pg no:574,7th edition